The earliest manifestation of increased intracranial pressure following head injury is -
1. Ipsilateral pupillary' dilatation
2. Contralateral pupillary dilation
3. Altered mental status
4. Hemiparesis

Correct answer: 3. Altered mental status

Explanation: Ans. is 'c' i.e., Altered mental status o Early signs of elevated ICP include drowsiness and a diminished level of consciousness.o Coma and unilateral pupillary changes are late signs and require immediate intervention. - Harrison